Cause of hydrocoele in infants is
1. Patent gubernaculum
2. Patent processus vaginalis
3. Cyst of morgagni
4. Harmonal factors

Correct answer: 2. Patent processus vaginalis